Abductor of vocal cords is -
1. Thyroarytenoid
2. Lateral cricoarytenoid
3. Posterior cricoarytenoid
4. Cricothyroid

Correct answer: 3. Posterior cricoarytenoid

Explanation: Ans. is 'c' i.e., Posterior cricoarytenoid Abductors : Adductors :Posterior cricoarytenoidLateral cricoarytenoidInterarytenoid (transverse arytenoid)Thyroarytenoid (external part)CricothyroidTensors :CricothyroidVocalis (internal part of thyroarytenoid)